Organs take part in vitamin D formation
1. Liver
2. Skin
3. Kidney
4. All of the above

Correct answer: 4. All of the above

Explanation: Vitamin D is formed in skin with help of sunlight and activated in liver and kidneyRef: Ganong's review of medical physiology; 24th edition; page no: 380